Reichert's cartilage derivative is ?
1. Malleus
2. Inchus
3. Stapes suprastructure
4. Sphenomandibular ligament

Correct answer: 3. Stapes suprastructure

Explanation: The cartilage of second pharyngeal arch (hyoid arch) is known as Reicherts cartilage and contributes as :- (i) Stapes (except footplate), (ii) Styloid process, (iii) Stylohoid ligament, (iv) Lesser cornu and superior part of body of hyoid bone. However, footplate of stapes develop from otic capsule.